Most common cause of neonatal meningitis-
1. Staphylococcus
2. E. coli
3. H. influenze
4. Pneumococcus

Correct answer: 2. E. coli

Explanation: Ans. is 'b' i.e., E. coli o E. coli & streptococcus agalactie (group B streptococci) are the two most common cause of neonatal sepsis and meningitis.